1 Gray is equal to
1. 1 Rontgen
2. 1 Rad
3. 100 Rad
4. 1 Rem

Correct answer: 3. 100 Rad

Explanation: Ans: c (100 Rad) Ref: Practical Radiotherapy- Physics and equipment 2nd ed/p.25, 2521 Gray = 100 RadGray is defined as: ' The absorbed dose (D) is the quotient of de by dm, where de is the mean energy imparted by the ionising radiation to matter of mass dm. D = de dmThe S.I unit of absorbed dose is gray. 1 Gray = 1 joule per kg = 100 RadIntensity is defined as the X - ray energy passing through unit area per unit time and is measured in roentgens.Rem is the Rontgen equivalent man, where absorbed dose of rads is multiplied by the quality factor of the type of radiation. The biological effect of radiation is expressed in Rem.